Which is false regarding post dural puncture headache?
1. Incidence is reduced by pencil point spinal needles
2. Definitive cure is obtained with epidural blood patch
3. Head ache is aggravated by sitting and relieved by lying down
4. Longer the duration anesthesia , greater will be the chance of developing PDPH

Correct answer: 4. Longer the duration anesthesia , greater will be the chance of developing PDPH

Explanation: predisposing factors for PDPH Age: Younger, more frequent Sex: Females > males Needle size: Larger > smaller Needle bevel: Less when the needle bevel is placed in the long axis of the neuraxis Orienting a needle bevel parallel with the axis of the spine, such that the longitudinal fibers of the dura would more likely be separated than cut, results in a lower incidence of postspinal puncture headache Pregnancy: More when pregnant Dural punctures: More with multiple punctures Factors That Do Not Increase the Incidence of Headache After Spinal Puncture Insertion and use of catheters for continuous spinal anesthesia Timing of ambulation duration of surgery